Best anti-tubercular drug against intermittently dividing mycobacteria is:-
1. Rifampicin
2. Pyrazinamide
3. Ethambutol
4. INH

Correct answer: 1. Rifampicin

Explanation: Bacteria Present at Most effective drug Rapidly multiplying Wall of tubercular cavity Isoniazid Intermittently dividing (Spuers) In casseous necrosis Rifampicin Slow multiplying Inside the macrophages Pyrazinamide